The fluid of choice in a child with burn < 24 hour is -
1. Fresh frozen plasma
2. Isolye-P
3. Ringer lactate
4. Plailet tranfusion

Correct answer: 3. Ringer lactate

Explanation: Fluid resuscitation in burn injury

Parkland formula

a. Inial 24 hours: Ringer's lactated (RL) solution 4 mL‘kg/% bum for adults and 3 ml/kg/% bum for children. RL solution is added for maintenance for children:
1.   4 ml'kg/hour for children weighing 0-10 kg
2.   40 ml/hour+2 ml.'hour for children weighing 10-20 kg
3.   60 ml.'hour + 1 ml'kg/hour for children weighing 20 kg or higher This formula recommends no colloid in the finial 24 hours.
b. Next 24 hours: Colloids given as 20-60% of calculated plasma volume. No crystalloids. Glucose in water is added in amounts required to maintain a urinary output of 0.5-1 ml/hour in adults and 1 ml/hour in children